Nutritional supplement for two year old child under ICDS scheme is -
1. 200 Calorie
2. 300 Calorie
3. 400 Calorie
4. 500 Calorie

Correct answer: 4. 500 Calorie

Explanation: Ans. is 'd' i.e., 500 calories o Under ICDS Scheme supplementary nutrition is given to: Children below 6 yrs Nursing mothers Expectant mothers o The aim is to supplement nutritional intake for 1) Each child 6-72 months of age --) 500 calories and 12-15 grams ofprotein (financial norm of Rs 6.00 per child per day). 2) Severely malnourished child 6-72 months of age --> 800 calories and 20-25 grams protein (financial norm of Rs 6.00 per child per day). 3) Each pregnant and nursing woman 600 calories and 18-20 grams of protein (financial norm of Rs 5.00 per beneficiary per day). Under the revised nutritional and feeding norms for supplementary nutrition, State goverments/UTs have been mandated to provide more than one meal to the children who come to AWCs, which include providing a morning snack in the form of milk/banana/egg/seasonal fruit/micronutrient fortified food followed by a hot cooked meal. For children below 3 years of age and pregnant & lactating mothers, "take home ration" is to be provided. o Supplementary nutrition is given for 300 days a year.